Which of the following organelles is the major site for anaerobic metabolism?
1. Centrioles
2. Mitochondria
3. Golgi apparatus
4. Cytoplasm

Correct answer: 4. Cytoplasm

Explanation: Oxidative phosphorylation occurs in the mitochondria. The TCA cycle occurs in the mitochondrial matrix. The electron transport chain occurs on the inner mitochondrial membrane. Anaerobic metabolism occurs in the cytoplasm of most cells. The mitochondria are the site of aerobic metabolism. The Golgi apparatus is responsible for packaging of material for intra- and extracellular use. The nucleolus is the site with in the nucleus of active transcription a gene to mRNA. Centrioles are cytoskeletal elements responsible for nuclear division during cell division. Ref: Bender D.A., Mayes P.A. (2011). Chapter 18. Glycolysis & the Oxidation of Pyruvate. In D.A. Bender, K.M. Botham, P.A. Weil, P.J. Kennelly, R.K. Murray, V.W. Rodwell (Eds), Harper's Illustrated Biochemistry, 29e.